False about osteoarthritis is -
1. Involves synovial joints
2. Progressive softening of the articular cartilage
3. It is an inflammatory arthritis
4. Marginal osteophytes are produced

Correct answer: 3. It is an inflammatory arthritis

Explanation: Ans. is 'c' i.e., It is an inflammatory arthritis o Osteoarthritis (OA) is a chronic disorder of synovial joints in which there is progressive softening and disintegration of articular cartilage accompanied by new growth of cartilage and bone at the joint margins (osteophytes), cyst formation and sclerosis in the subchondral bone, mild synovitis and capsular fibrosis,o The term osteoarthritis is a misnomer as it is a non-inflammatory condition.o The right term is osteoarthrosis or degenerative joint disorder because it is a degenerative wear - and - tear process occuring in joints.